While doing sigmoidoscopy, if the rectum is inflated with gas, increased peristalsis is seen in
1. Whole colon
2. Proximal colon
3. Distal colon
4. Whole intestine

Correct answer: 3. Distal colon

Explanation: Defecation reflex - When the rectum is distended, a reflex propulsive movement from descending colon to rectum occurs. Along with that, the internal anal sphincter relaxes. The same happens when the rectum is distended by gas.